Among the following, content of cavernous sinus is
1. Maxillary division of trigeminal nerve
2. Ophthalmic division of trigeminal nerve
3. Trochlear nerve
4. Internal carotid artery

Correct answer: 4. Internal carotid artery

Explanation: Structures passing through the medial aspect of the sinus: Internal carotid artery -with the venous and sympathetic plexus around it Abducent nerve- inferolateral to the internal carotid artery. Notes: Structures within the lateral wall of the sinus from above downwards: Oculomotor nerve Trochlear nerve Ophthalmic nerve Maxillary nerve Trigeminal ganglion. Ref BDC volume3,sixth edition of 193